Lifespan of the fetal RBC approximately is
1. 60 days
2. 100 days
3. 80 days
4. 120 days

Correct answer: 3. 80 days

Explanation: The lifespan of fetal red cells is 80 days and Rh factor is developed by 38 days.